Most important cytokine responsible for the synthesis of acute phase protein
1. IL-1
2. IL-6
3. IL -11
4. TNF alpha

Correct answer: 2. IL-6

Explanation: IL 6 is responsible for the synthesis of acute phase proteinsWintrobe 13th e